Hand and foot syndrome can be caused by
1. Cisplatin
2. Vincristine
3. Capecitabine
4. Mitomycin -C

Correct answer: 3. Capecitabine

Explanation: 5 FU, capecitabine and liposomal doxorubucin can cause hand and foot syndrome Generally this disease affects infants and children Adults with immunodeficiency can also be affected Refer Katzung 10th/889